All of the following diuretics inhibit Na+.K+.2Cl- symporter, EXCEPT:
1. Thiazide
2. Furosemide
3. Ethacrynic acid
4. Mersalyl

Correct answer: 1. Thiazide

Explanation: 1. High efficacy diuretics (Inhibitors of Na-K-2Cl cotransport)

Sulphamoyl derivatives - Furosemide, Bumetanide, Torsemide.

2.Medium efficacy diuretics (Inhibitors of Na-Cl symport)

(a) Benzothiadiazines (thiazides)- Hydrochlorothiazide, Benzthiazide, Hydroflumethiazide, Clopamide.
(b) Thiazide-like (related heterocyclics) - Chlorthalidone, Metolazone, Xipamide, Indapamide.

3. Weak or adjunctive diuretics

(a) Carbonic anhydrase inhibitors - Acetazolamide.
(b) Potassium-sparing diuretics.

(i) Aldosterone antagonist: Spironolactone 
(ii) Inhibitors of the renal epithelial Na+ channel: Triamterene, Amiloride.

(c) Osmotic diuretics - Mannitol, Isosorbide, Glycerol.